Transport of glucose from the lumen to the mucosal cell is dependent on the diffusion of
1. K+
2. HCO3
3. Na+
4. Proteins

Correct answer: 3. Na+

Explanation: Glucose and galactose are absorbed by a sodium-dependent process. They are carried by the same transport protein (SGLT 1)The SGLT 1 transporter is coupled to the Na+-K+ pump, allowing glucose and galactose to be transported against their concentration gradients.Harper 30th edition Pg:538